A 10 year old child comes to you with exarticulation of 11.
This condition is called as:
1. Avulsion
2. Intrusion
3. Fracture with enamel
4. Dilaceration

Correct answer: 1. Avulsion

Explanation: Avulsion/Exarticulation/Total Luxation
It is defined as complete displacement of the tooth out of socket.